The lymphatics from the median part of the forehead drains to
1. Submandibular nodes
2. Submental nodes
3. Preauricular parotid nodes
4. Upper deep cervical nodes

Correct answer: 1. Submandibular nodes